True fact regarding Crohn's disease
1. Entero enteric fistula is an indication for urgent surgery
2. Medical management includes antibiotics, immunosuppressive agents and biologic agents
3. No increased risk for colonic cancer
4. No effect on fertility

Correct answer: 2. Medical management includes antibiotics, immunosuppressive agents and biologic agents

Explanation: Crohn's diseaseHLA - DR1 / DQw5 and NOD genes, CD 4+ T cells response Affects ileum but rectum sparedFull thickness - transmural involvement Skip lesions ++Non caseating granuloma ++Stricture ++Fistula ++Anal fissure ++Perianal abscess ++Discontinuous segmental asymmetrical colitis Normal vascular patternDiagnosis of Crohn's diseaseTreatment of Crohn's diseaseAssociated with Saccharomyces cerevisiae antibody Barium meal study - Cobblestone appearance; Rose thorn appearance; String sign of Kantor 5-ASAGlucocorticoidsAzathioprine and 6 Mercaptopurine (or Methotrexate)TNF alpha Therapy (Infliximab; Adalimumab; Certolizumab)Cyclosporine or Tacrolimus or Natalizumab(Refer: Sabiston's Textbook of Surgery, 19th edition, pg no: 1244-1254)